Metronidazole is used for all except ?
1. Amoebiasis
2. Giardiasis
3. Trichomonas vaginitis
4. Malaria

Correct answer: 4. Malaria

Explanation: Ans. is 'd' i.e., Malaria Metronidazole is used in : 1. Amoebiasis 5. Pseudomembranous enterocolitis. 2. Giardiasis 6. Ulcerative gingivitis, trench mouth. 3. Trichomonas vaginitis 7. H. pylori gastritis, peptic ulcer. 4. Anaerobic bacterial infection